Epithelium in vocal card is
1. Pseudo stratified columnar
2. Stratified squamous
3. Simple columnar
4. Cuboidal epithelium

Correct answer: 2. Stratified squamous